C/F of cerebello pontine angle tumours
1. Tinitus
2. Deafness
3. Loss of cornea reflex
4. All

Correct answer: 4. All

Explanation: Most CPA tumors are benign, with over 85% being vestibular schwanommas (acoustic neuromas), lipomas, vascular malformations, and hemangiomas. Presenting symptoms of CPA tumors (including acoustic neuromas) include the following: Hearing loss - 95% Tinnitus - 80% Vertigo/unsteadiness - 50-75% Headache - 25% Facial hypesthesia - 35-50% Diplopia - 10% Loss of corneal reflex Ref Harrison20th edition pg 2657